Autism is -a) Neurodevelopmental disorderb) Social and language communication problemc) Metabolic diseased) Mainly due to hypothalamus damage
1. ac
2. a
3. ad
4. ab

Correct answer: 4. ab